Different refractive power between two eyes is known as?
1. Combined astigmatism
2. Aniseikonia
3. Anisometropia
4. Ametropia

Correct answer: 3. Anisometropia

Explanation: Ans. (c) AnsiometropiaRef: A.K. Khurana 6th ed. 144-45, Khurana 4th ed./ 38* Isometropia: Two eye with equal refraction* Anisometropia: two eye with unequal refraction of power >2.5D* Aniseikoinia: Difference in size/shape of image of >5% on visual cortex by retina.